what happens in Klumpkes paralysis
1. Water tip deformity
2. Intrinsic hand muscle weakness
3. Elbow extended and wrist extended
4. Only elbow is extended

Correct answer: 2. Intrinsic hand muscle weakness

Explanation: Klumpke's paralysis * site of injury - lower trunk of brachial plexus ( C8,T1) * cause of injury - undue abduction of the arm, as in clutching something with the hand after a fall from height , sometimes in birth injury . *Muscles paralysed- *intrinsic muscle of hand (T1), ulnar flexors of wrist & fingers (C8) *deformity - claw hand due to unopposed action of long flexors & extensors of the fingers . In claw hand there is hyperextension at metacarpophalageal joint & flexion at the interphalangeal joints. REF:textbook of orthopedics, John Ebenezer, 4th edition ,pg.no.351